Which of the following is enzyme inducer?
1. Erythromycin
2. Isoniazid
3. Rifampicin
4. Cimetidine

Correct answer: 3. Rifampicin

Explanation: Ans. C. RifampicinDugs which act as enzyme inducera. G- Griseofulvinb. P- phenytoinc. R-Rifampicind. S-smokinge. Cell- carbamazepinef. Phone- phenobarbitone.